Features, which are evaluated for histological grading of breast carcinoma, include all of the following except -
1. Tumour necrosis
2. Mitotic count
3. Tubule formation
4. Nuclear pleomorphism

Correct answer: 1. Tumour necrosis

Explanation: Ans. is 'a' i.e. Tumour Necrosis For histological grading of breast carcinoma three individual factors are assessed.Nuclear pleomorphism Tubule formation Mitotic countThe most commonly used histological grading system is Nottingham histologic score (also k/a Scarff-Bloom- Richardson)